The best surgical management for villous adenoma of the rectum is --
1. Local resection of lesion
2. Repeated sigmoidoscopy
3. Abdomino perinea] resection
4. Electrolyte infusion and chemotherapy

Correct answer: 1. Local resection of lesion

Explanation: Ans. is 'a' i.e., Local resection for lesion